SERM's are used as add-back therapy concurrently with GnRH agonist to
1. Increase shrinkage of leiomyoma
2. Prevent bone loss
3. Avoid vasomotor symptoms
4. Decrease venous thromboembolism risks

Correct answer: 2. Prevent bone loss

Explanation: SERMs  are used concurrently with GnRH agonist to prevent bone loss.